A old male presents with gradually increasing dysphagia more for solids, hoarseness of voice and palpable cervical node. Diagnosis is:
1. Corrosive stricture
2. Achalasia
3. DES
4. Cancer

Correct answer: 4. Cancer

Explanation: Ans. (d) cancerRef: Bailey and Love 27th edition, Page 1087* Cancer Esophagus presents with Solid dysphagia > liquids and palpable node and RLN palsy